28-year old male while playing was hit on the head by a cricket ball . This hit fractures the orbit and damage the optic canal. Which of the following structures are most likely to be damaged during this hit are -
1. Optic nerve and ophthalmic artery
2. Ophthalmic vein and occulomotor artery
3. Ophthalmic artery and olfactory nerve
4. Ophthalmic nerve and optic nerve

Correct answer: 1. Optic nerve and ophthalmic artery

Explanation: Floor of Anterior Cranial Fossa is formed by :- 1)Cribriform plate of ethmoid bone 2)Frontal bone 3)Lesser wing of sphenoid Frontal bone and lesser wing of sphenoid contribute in forming roof of orbit Lesser wing of sphenoid contains optic canal for passage of ophthalamic artery and optic nerve (2nd CN) Ophthalmic artery is a branch of internal carotid artery (associated with sympathetic fibers) Ant view Post view